Basic need programme includes all, except -
1. Education of adult & child
2. Doctor & nurse ratio
3. Water supply
4. Sanitation

Correct answer: 2. Doctor & nurse ratio

Explanation: Ans. is `b' i.e., Doctor & nurse ratio